Most common symptom of Interstitial Lung disease is:
1. Hemoptysis
2. Dyspnea
3. Substernal discomfort
4. Wheezing

Correct answer: 2. Dyspnea

Explanation: Ans. B: Dyspnea Many of the ILDs have similar clinical features and are not easily distinguished on examination. Symptoms are generally limited to the respiratory tract. Exertional breathlessness (dyspnea) and a nonproductive cough are the most common symptom. However, sputum production, hemoptysis, or wheezing are helpful in classifying the disease. If the patient also has prominent nonrespiratory symptoms, such as myalgia, arthralgia, or sclerodactyly, ILD might be the result of underlying connective tissue disease.